"Square root sign" is a radiological finding of
1. Constrictive pericarditis
2. HOCM
3. ASD
4. Pleuro - pericardial cyst

Correct answer: 1. Constrictive pericarditis

Explanation: "Square root sign" - Contrictive pericorditis.
Ground glass ventricular septum - HOCM.